In Bartter's Syndrome, which of the following is not seen-
1. Metabolic Alkalosis
2. Hypokalemia
3. Hypomagnesemia
4. Decrease in urinary calcium

Correct answer: 4. Decrease in urinary calcium

Explanation: Bartter's syndrome - There is loss of transport function of Thick ascending loop of henle(TALH) Segment of nephron which results in hypokalemic metabolic alkalosis classic BS- typically suffer from polyuria and polydypsia due to reduction in renal concentrating ability . Increase in urinary calcium excretion 20% are hypomagnesemic. Marked activation of RAAS. Antenatal BS- They suffer from severe systemic disorder characterized by marked electrolyte wasting, polyhydramnios ,hypercalciuria with nephrocalcinosis . Ref:Harrison 20 th edition pg no 306.